In a young female of reproductive age with regular menstrual cycles of 28 days ovulation occurs around 14th day of periods. When is first polar body extruded.
1. 24 hours prior to ovulation
2. Accompanied by ovulation
3. 48 hours after the ovulation
4. At the time of fertilization

Correct answer: 2. Accompanied by ovulation

Explanation: Its at the time of ovulation or just before it. The oocyte remains in the diplotene stage of meiosis I until the LH surge. With the LH surge there is a resumption of meiotic activity and the first polar body is released just before ovulation. Ovulation is around 34-36 hours from the beginning of LH surge And 10-12 hours from the peak of LH surge.